In sickle cell anaemia, the defect can be explained as having arisen from -
1. A base insertion in DNA
2. A base deletion in DNA
3. A base substitution in DNA
4. None of the above

Correct answer: 3. A base substitution in DNA

Explanation: C i.e. A base substitution in DNA